A 46-year-old man has a swelling in the scrotum. It shows clear transillumination anterior to the testis when a light is applied to the scrotum in a dark room. This physical exam is most consistent with?
1. Cyst of the epididymis
2. Torsion of testis
3. Hydrocele
4. Direct inguinal hernia

Correct answer: 3. Hydrocele

Explanation: In adults, this is diagnostic, but in children, transillumination is also seen in an indirect inguinal hernia. As epididymal cyst may transilluminate but is posterior to the testis.